A child presents with multiple skin colored papules over the lips. What is bed side investigation that you would like to do?
1. Woods lamp
2. KOH
3. Tzanck smear
4. Slit skin smear

Correct answer: 3. Tzanck smear

Explanation: ANSWER: (C) Tzanck smear REF: Fitz Patricks Dermatology 6th ed page 28See details of Tzanck smear in Dermatology 2000See details of Wood's lamp in Dermatology 2013 Session 1To answer this question, you need to arrive at a possible diagnosis. Differential of Skin colored papules on face of a child can be:* Molluscum contagiosum* Milia* Warts* Trichoepithelioma* SyringomaNow coming to our optionsWood's lamp, slit skin smear or KOH mount don't help to rule out any of these conditions. The only investigation that can help is a Tzank smear which can help to differentiate blistering disorders and viral skin lesions (Molluscum contagiosum, Herpes)